Side effects of Oxygen therapy are all except
1. Absorption atelectasis
2. Increased Pulmonary compliance
3. Decreased vital capacity
4. Endothelial damage

Correct answer: 2. Increased Pulmonary compliance

Explanation: Absorption atelactasis, decreased vital capacity and endothelial damage are the side effects of the oxygen therapy